The only non–catecholamine sympathomimetic drug out of the following is:
1. Adrenaline
2. Ephedrine
3. Dopamine
4. Isoprenaline

Correct answer: 2. Ephedrine